About Tetanus, true are all, except:
1. Caused by exotoxin
2. Variable incubation period
3. Active immunisation is best for prophylaxis
4. Caused by endotox

Correct answer: 4. Caused by endotox

Explanation: Caused by endotox